All of the following are true regarding whooping cough except:
1. Spread by droplet infection
2. 90% of cases occur in children under 5 years of age
3. The whoop stage is more infectious than catarrhal stage
4. Blood count shows lymphocytosis

Correct answer: 3. The whoop stage is more infectious than catarrhal stage

Explanation: Ans: cRef: Harrison, 16th ed, p. 875, 876